True about fibrates is all except:
1. Drug of choice for Type III hyperlipoproteinemia and severe hypertriglyceridemia
2. Activate PPAR to stimulate LPL
3. Absorbed good on empty stomach and absorption is delayed by fatty meals
4. Side effect are rash, urticaria, myalgia and impotence

Correct answer: 3. Absorbed good on empty stomach and absorption is delayed by fatty meals